True about Apoptosis are all except
1. Inflammation is present
2. Chromosomal brekage
3. Clumping of chromatin
4. Cell shrinkage

Correct answer: 1. Inflammation is present

Explanation: Fragments of the apoptotic cells then break off, giving the appearance that is responsible for the name (apoptosis, "falling off"). The plasma membrane of the apoptotic cell remains intact, but the membrane is altered in such a way that the cell and its fragments become avid targets for phagocytes. The dead cell and its fragments are rapidly cleared before cellular contents have leaked out, so apoptotic cell death does not elicit an inflammatory reaction in the host. Apoptosis differs in this respect from necrosis, which is characterized by loss of membrane integrity, enzymatic digestion of cells, leakage of cellular contents, and frequently a host reaction.( Robbins Basic Pathology, 9 th edition, page 18 )